A child finds difficulty to spell and read, otherwise his IQ is normal, interacts well with parents and friends. Vision is normal. Most probable diagnosis of the condition is:
1. ADHD
2. Dyslexia
3. Autism
4. Asperger syndrome

Correct answer: 2. Dyslexia

Explanation: The history of difficulty in reading and spelling mistakes in presence of normal IQ is suggestive of learning disorders (specific learning disability).